Cariostatic level of fluoride in drinking water is:
1. 1 ppm
2. 1.5 ppm
3. 2 ppm
4. 2.5 ppm

Correct answer: 1. 1 ppm

Explanation: Fluoridation is the adjustment of water supply to a fluoride content such that reduction of 50 to 70% in dental caries would occur without damage to teeth or other structures.
In 1958, WHO produced the first report by an expert committee on water fluoridation (TRS 146) and concluded that drinking water containing about 1 ppm fluoride had marked caries - preventive action and that controlled fluoridation of drinking water was a practicable and effective public health measure.

Essentials of preventive and community dentistry 
Soben Peter 
5th edition